In fracture of surgical neck of humerus which nerve is involved?
1. Axillary
2. Median
3. Ulnar
4. Radial

Correct answer: 1. Axillary

Explanation: Ans. is 'a' i.e., Axillary Site of injuryNerve injuredFracture surgical neck humerusAxillary nerveFracture shaft humerusRadial nerveSupracondylar fractureMedian nerve (anterior interosseous branch)Medial epicondyle fractureUlnar nervePosterior dislocation of HIPSciatic nerveFibular neck fractureCommon peroneal nerve